Patient with pyloric stenosis secondary to peptic ulcer, complains of profuse vomitting and Na+ - 125 meq/L, K+ → 2.3 meq/L and CI → 85 meq/L, E- 8meq/L should be given-
1. Half normal saline
2. Normal saline
3. K+ bolus
4. Hypertonic saline

Correct answer: 2. Normal saline